A randomized trial comparing the efficacy of two drugs showed a differebce between the two (p value < 0.005). However, in reality the two drug do not differ. This is an example of-
1. Type I error
2. Type II error
3. Both type I and II error
4. Random error

Correct answer: 1. Type I error

Explanation: Type 1 error (alpha error ). A test with a high specificity has a low Type 1 error rate. False positive rate (a)=1- specificity False negative rate(ss)=1-sensitivity Reference: Simple Biostatistics by Indeayan & Indrayan ,1st edition, pg.155-57 and Methods in Biostatistics by Mahajan,7th edition,pg no.111-113.